Which finding on electron microscopy indicates irreversible cell injury?
1. Dilatation of endoplasmic reticulum
2. Dissociation of ribosomes from rough endoplasmic reticulum
3. Large amorphous densities in the mitochondria
4. Myelin figures becomes sparse

Correct answer: 3. Large amorphous densities in the mitochondria

Explanation: IRREVERSIBLE INJURYCytoplasmic changes:1. Cells appear glassy and homogeneous mostly because of loss of glycogen molecules. 2. Myelin figures become more prominent 3. Cytoplasm becomes vacuolated and appears "moth-eaten".By electron microscopy1. Discontinuity in plasma and organelle membrane.2. Marked dilatation of mitochondria with an appearance of large amorphous densities.3.Disruption of lysosomes. 4.Intracytoplasmic myelin figures. Nuclear changes: -Karyolysis: Basophilia of chromatin fade. -Pyknosis: nuclear shrinkage and increased basophilia. -Karyorrhexis: Pyknotic nucleus undergo fragmentation. {Reference: Robbins basic pathology 9Edition pg: 5}